Oncogenic RNA virus is ?
1. An leukosis virus
2. Herpesvirus
3. Adenovirus
4. Togavirus

Correct answer: 1. An leukosis virus

Explanation: Ans. is 'a' i.e. An leukosis virus